The superficial external pudendal artery is a branch of
1. Femoral artery
2. External iliac artery
3. Internal iliac artery
4. Aorta

Correct answer: 1. Femoral artery

Explanation: The femoral artery in the femoral triangle gives off 3 superficial branches :superficial epigastric artery,superficial external pudendal andsuperficial circumflex iliac artery.Reference: Textbook of anatomy, Abdomen and Lower limb, Vishram Singh, 2nd edition, page no.341